Multidrug resistance in TB is defined as resistance to:-
1. Streptomycin, Rifampicin and Isoniazid
2. Streptomycin and Rifampicin
3. Isoniazid and Rifampicin
4. Streptomycin and Isoniazid

Correct answer: 3. Isoniazid and Rifampicin

Explanation: Multi-drug-resistant tuberculosis(MDR-TB) is caused by bacteria resistant to treatment with at least two most powerful first-line anti-TB medications (drugs), i.e isoniazid and rifampicin. Multi-drug-resistant tuberculosis(MDR-TB) can be treated by